Most common site affected by psoriasis is?
1. Flexor surface
2. Extensor surface
3. Palms and soles
4. Oral mucosa

Correct answer: 2. Extensor surface

Explanation: ANSWER: (B) Extensor surfaceREF: Rook's textbook of dermatology 7th e p. 35.1"Most commonly involved areas in psoriasis is Extensor aspect of knees, elbows & Scalp"